Commonest benign tumour of the uterus:
1. Uterus leiomyoma
2. Cervical fibroid
3. Endometrial Polyps
4. Adenomyosis

Correct answer: 1. Uterus leiomyoma

Explanation: Fibroid Most common benign tumour of the uterus Most common benign pelvic tumor in females Types Intramural (75%) Subserous (15%) Submucous (5%)